Which of the following statements about "Simple Random Sampling" is true -
1. Every element in the population has an equal probability of being included
2. Sampling is based on similar characteristics
3. Suitable for large heterogenous population
4. Complete list of items within the sampling frame is not required

Correct answer: 1. Every element in the population has an equal probability of being included

Explanation: Ans. is 'a' i.e., Every element in the population has an equal probability of being included Features of Simple Random sampling o This is the most basic (simplest) kind of probability sample. o Elements are selected at random from the entire sampling frame without any stratification or segregation of the sampling frame into subroups or strata with similar characteristics. o Requires a complete list of items within the sampling frame (All elements must be identified and listed and each element of the population must be assigned a number). o Suitable for small homogenous population (Large heterogenous populations will require stratification). o Every element in the population has an equal probability of being included